Acute GVHD reaction occurs in all Except
1. Liver
2. Adrenals
3. Gut
4. Skin

Correct answer: 2. Adrenals

Explanation: Acute GVHD occurs within days to weeks after allogeneic bone marrow transplantation. Although any organ may be affected, the major clinical manifestations result from involvement of the immune system and epithelia of the skin, liver, and intestines.OSkin - generalized rashOLiver - jaundiceOIntestines - bloody diarrhea It is believed that in addition to direct cytotoxicity by CD8+ T cells, considerable damage is inflicted by cytokines released by the sensitized donor T cells.Ref: Robbins and Cotran Pathologic Basis of Disease; 9th edition; Page no: 236